Most common cause of death in patients on dialysis for Acute Renal Failure is:
1. Cardiovascular Disease
2. Infection
3. Malignancy
4. Anemia

Correct answer: 2. Infection

Explanation: Answer is B (Infection) The most common cause of death in patients dialyzed for acute renal failure is Infection. Infections are the most common cause of death in patients dialyzed for Acute Renal Failure. Infection is often complicated by progressive sequential system failure. Cardiovascular disease is the next most common cause of death' -Replacement of Renal Function by Dialysis (Springer).